Sputum positivity in T. B. is -
1. More sensitive than specific
2. More specific than sensitive
3. More sensitive as well as specific
4. Non sensitive or specific

Correct answer: 2. More specific than sensitive